A 30 year old female comes with hypovolemic shock after blunt trauma of the abdomen. An emergency USG of abdomen shows splenic tear. Which of the following is to be done -
1. CECT of the abdomen
2. Diagnostic lavage of peritoneal cavity before proceeding
3. Monitor patient to assess for progression
4. Immediate surgery

Correct answer: 4. Immediate surgery

Explanation: Answer is 'd' i.e. Immediate surgery Spleen is the intra-abdominal organ most commonly injured in a blunt trauma to the abdomen. It can be managed in 2 ways Non-operatively - This is now the order of the day and currently > 70% of adults with blunt splenic injuries are managed non-operatively. - But the primary requirement for it is - hemodynamic stability Operative management Patients who are hemodynamically unstable or are failing non-operative management (eg. require continuing transfusion) should undergo operative management. It consists of splenic salvage procedures or partial or complete splenectomy. The patient in the question is in hypovolemic shock with confirmed splenic tear would require immediate surgery to control bleeding.